Ligamentum teres is a remnant of which of the following embryologic structure?
1. Umbilical artery
2. Ductus venosus
3. Umbilical vein
4. Portal radicles

Correct answer: 3. Umbilical vein

Explanation: After birth left umbilical vein obliterates to form ligamentum teres. Initially umbilical veins pass on each side of the liver to drain into sinus venosus. Later proximal portion of both umbilical veins and remaining portion of right umbilical vein disappear. Left umbilical vein carry blood from placenta to the liver.Ductus venosus obliterates to form ligamentum venosum.Distal part of umbilical artery obliterate to form medial umbilical ligament while its proximal portion forms the superior vesicle artery.Ref: Textbook of Human Embryology By Rani Kumar, Page 208